Obesity in a child of age 2 years is defined as:
1. Weight for height more than double of expected
2. Weight for age more than double of expected
3. BMI >30
4. BMI >95th percentile

Correct answer: 4. BMI >95th percentile

Explanation: d. BMI >95th percentile(Ref: Nelson's 20/e p 307-315, Ghai 8/e p 528-529)Obesity in children is defined as BMI >95th percentile; Body mass index (BMI) is equal to weight/height2 (in kg/m2).